Percutaneous nephrostomy in indicated in:
1. Polycystic kidney disease
2. Solitary adenocarcinoma
3. Simple hydronephrosis
4. Pyonephrosis

Correct answer: 4. Pyonephrosis

Explanation: Management of Pyonephrosis Immediate institution of antibiotics therapy and drainage of the infected collecting system. Antibiotics should be started before manipulation of the urinary tract. In the ill patient, drainage of the collecting system with a percutaneous nephrostomy tube. Nephrectomy in destroyed or non-functioning kidney.